Short head of biceps atttached to:
1. Coracoid process
2. Supraglenoid tubercle
3. Acromion process
4. Bicipital groove

Correct answer: 1. Coracoid process

Explanation: Ref: Grays Anatomy 40th Ed Pg H25Explanation:Biceps brachiiBiceps brachii derives its name from its two proximally attached parts or 'heads'.The short head arises from the coracoid process, together with coracobrachialis.The long head starts within the capsule of the shoulder joint from the supraglenoid tubercle of the scapula.The tendon has a broad medial expansion, the bicipital aponeurosis, which descends medially across the brachial artery to fuse with deep fascia over the origins of the flexor muscles of the forearm .The tendon can be split w ithout difficulty as far as the tuberosity, hence it can be confirmed that its anterior and posterior layers receive fibres from the short and long heads, respectively.Brachial artery is medially related to biceps tendonBetween brachial artery and median cubital vein bicipital aponeurosis is presentNerve supply is by musculocutaneous nerveIt prime action is flexion of elbow joint and supination.